Lymphatic obstruction occurs with which of the following?
1. Filarial worm
2. Hook worm
3. Guinea worm
4. Pin worm

Correct answer: 1. Filarial worm

Explanation: Pathogenesis It occurs due to blockage of lymph vessels and lymph nodes by adult worms The blockage could be due to mechanical factors or allergic inflammatory reaction to worm antigens and secretions. The affected lymph nodes and vessels are infiltrated with macrophages , eosinophils, lymphocytes and plasma cells. The vessel walls get thickened and the lumen narrowed or occluded , leading to lymph stasis and dilatation of lymph vessels . clinical manifestations Acute adenolymphangitis Lymphadenitis Lymphedema Lymphangiovarix Hydrocele Lymphorragia Elephentiasis Ref : panikers textbook of Medical parasitology 8th edition page 214